Which of the following cast is normal in urine
1. Granular
2. Waxy
3. Epithelial
4. Hyaline

Correct answer: 4. Hyaline

Explanation: Hyaline casts are both the most diffi- cult to visualize and least important type of casts encountered in the urine sediment. They are the result of solidifica- tion of Tamm-Horsfall mucoprotein, which is secreted by the renal tubular cells, and they may be present without significant proteinuria. Ref Harrison20th edition pg 277